Prolonged QT interval is not seen in
1. Hypokalemia
2. Hypocalcemia
3. Hypomagnesemia
4. Hypercalcemia

Correct answer: 4. Hypercalcemia

Explanation: Hypercalcemia: The most common ECG findings of hypercalcemia are a short QT interval secondary to a shortened ST segment. There may also be a widened or flattened T wave; however, significant hypercalcemia can cause ECG changes that mimic an acute myocardial infarction cuases of prolonged QT Bradycardia Central Nervous System diseases (intracranial trauma, subarachnoid hemorrhage, stroke) Congenital long QT syndrome Dysautonomy (Diabetes mellitus, amyloidosis, others) Elderly Electrolyte disturbances (hypomagnesemia, hypokalemia) Heart Failure Hypoglycaemia Hypothermia Hypothyroidism Ion channel polymorphism Ischemic myocardiopathy Obesity Reduced repolarization reserve Ref : Harrison 20th edition pg 1534